Most important mechanism of drug transport across cell membrane ?
1. Fltration
2. Active transport
3. Passive diffusion
4. Facilitated diffusion

Correct answer: 3. Passive diffusion

Explanation: Ans. is 'c' i.e., Passive diffusion